While halo or line around enamel margin in composite
restoration is not due to
1. Low intensity light curing
2. High intensity light curing
3. Inadequate etching and bonding
4. Traumatic contouring

Correct answer: 1. Low intensity light curing